Gas gangrene is caused by all except-
1. Cl. histolyticum
2. Cl. Novyi
3. Cl. septicum
4. Cl. sporogenes

Correct answer: 4. Cl. sporogenes